All are included in acute flaccid paralysis surveillance, except -
1. Tone
2. Age
3. No cause
4. Transient weakness

Correct answer: 4. Transient weakness

Explanation: Confirmed case in AFP surveillance is defined as acute onset of focal weakness or paralysis characterized by flaccid (reduced tone) without other obvious cause in children <15years of age. Cases of Guillain -Barre syndrome should be included as cases of acute flaccid paralysis (AFP).
Transient weakness (e.g. post-ictal weakness) should not be included.